Which of the following is NOT TRUE regarding refining of oils?
1. Refining is done using steam, alkali etc
2. It removes free fatty acid and rancid material from oil
3. It increases unsaturated fatty acid content of the oil
4. Refined oils are costly

Correct answer: 3. It increases unsaturated fatty acid content of the oil

Explanation: Refining of oils is done by treatment with steam, alkali etc. Refining does not bring about any change in in the unsaturated fatty acid content of a particular oil. It removes free fatty acids and rancid material thereby aiding in deodorisation and improvement in taste of the oil. Refined oils are costlier. Ref: Park, 21st Edition, Page 565.